Stain used in electron microscopy?
1. 2.5% glutaldehyde
2. Phosphotungstic acid
3. Saffranin
4. Coomassie blue

Correct answer: 2. Phosphotungstic acid

Explanation: Electron microscope: the technique of shadow casting with vapourised heavy metals has made pictures with good contrast and 3D effect possible. Another valuable technique in studying fine structure is negative staining with phosphotungstic acid REF:Ananthanarayan & Panicker's Textbook of Microbiology 8th Edition pg no: 13